A 40 year old patient is suffering from carotid body tumor. Which of the following is the best choice of treatment for him-
1. Excision of tumor
2. Radiotherapy
3. Chemotherapy
4. Carotid artery ligation

Correct answer: 1. Excision of tumor

Explanation: Carotid Body Tumor (Chemodectoma) Arises from chemoreceptor cells on the medial side of carotid bulb Histologically it is a non-chromaffin paraganglioma Usually benign, unifocal and non-heriditary, schamblin classification is used for carotid body tumor. Associated with pheochromocytoma Higher incidence in areas where people live at high altitudes because of chronic hypoxia leading to carotid body hyperplasia Treatment Because these tumors rarely metastasize and their overall rate of growth is slow, the need for surgical removal must be considered carefully as complication of surgery are potentially serious. Operation is best avoided in elderly patients Preoperative embolization is performed for tumors >3 cm Tumors >5 cm are associated with a need for concurrent carotid artery replacement Ref :Bailey and love 27th edition Pgno :757